A 22-year-old P2L2, presented with a profuse bleed after a normal spontaneous vaginal delivery. Physical examination revealed a boggy uterus, and a bedside sonogram indicates the presence of placental tissue. Most probable diagnosis is
1. Succenturiate placenta
2. Vasa previa
3. Placenta previa
4. Membranaceous placenta

Correct answer: 1. Succenturiate placenta

Explanation: Succenturiate placenta refers to placenta with additional lobe and this lobe is located a few centimetres away from the main lobe and it may be left behind after delivery and may present with PPH.